Key glycolytic enzymes
1. Phosphofructokinase
2. Hexokinase
3. Pyruvate kinase
4. All of these

Correct answer: 4. All of these

Explanation: Hexokinase & 'c' i.e., Pyruvate kinase

Glycolysis is regulated at 3 steps which are irreversible. These reactions are catalyzed by following key enzymes: (1) Ilexolunase and glucokinase, (2) Phosphofructokinase - I, and (3) Pyruvate kinase.